Which of the following organism is most commonly responsible for ascending cholangitis?
1. E.coli
2. Streptococci
3. Pseudomonas
4. Anerobes

Correct answer: 1. E.coli

Explanation: The commonest causative organism is E.coli. Though Klebsella, Pseudomonas, Enterococci etc also produce the condition. Charcot's triad is a set of three common findings in cholangitis: abdominal pain, jaundice, and fever. Reynolds' pentad includes the findings of Charcot's triad with the presence of septic shock and mental confusion. This combination of symptoms indicates worsening of the condition.